True about GuiUian-Barre syndrome is all EXCEPT:
1. Inflammatory
2. Demyelinating
3. Descending
4. Plasmapheresis can be done

Correct answer: 3. Descending

Explanation: ANSWER: (C) DescendingREF: Robbins 7ch edition page 1331, Harrison s 17 edition page 2667GUILLIAN-BARRE SYNDROME:Inflammatory, acuteDemyelinating polyneuropathyAutoimmune disorderxAscending paralysis (weakness beginning in the feet and hands and migrating towards the trunk)Etiology:Preceding evidence of viral infection : CMV, EBV , Campylobacter jejuniLupus erythematosus , lymphomaClinical features:Predominantly motorSensoryAutonomicParaplegia, QuadriplegiaProxiomal muscles > distalAscending paralysisCranial nerve paralysis (bulbar and facial)AreflexiaMay or may not be present Bladder and bowel rarely involvedPostural hypotensions with episodes of hypertensionCSF findings:Albumin - cytological disas so elationCSF pleocytosis with cells > 50/cu mm is against diagnosis of GBSPrognosis: recovery is usually unremarkable, although complete recovery may not be there.Treatment: Both plasmapheresis and IVIG are equally effective.